Dose of streptokinase to be used in MI is
1. 0.15 million units
2. 1.5 million units
3. 15 millions units
4. 150 million units

Correct answer: 2. 1.5 million units

Explanation: Ref Harrison 19 th ed pg 758 The adult dose of streptokinase for acute myocardial infraction is 1.5 million units IV over 60 minutes .